BMI of underweight individual:
1. Less than 18.5
2. 18.5-24.9
3. 25-29.9
4. More than 30

Correct answer: 1. Less than 18.5

Explanation: Ans. A: Less than 18.5BMI=Weight/ HeightLess than 18.5- underweight18.5-24.9- Normal25-29.9- OverweightMore than 30- Obese